What does displacement of cardiac apex towards left and downwards indicate?
1. Right ventricular hypertrophy
2. Left ventricular hypertrophy
3. Right atrial hypertrophy
4. Left atrial hypertrophy

Correct answer: 2. Left ventricular hypertrophy

Explanation: Normal left ventricular apex Left ventricular hypertrophy Right ventricular hypertrophy Impulse is located at or medial to the left midclavicular line in the fourth or fifth intercostal space. The impulse may be displaced laterally and downward into the sixth or seventh intercostal space in cases of aortic regurgitation or lesions like aortic stenosis/HOCM. Results in a sustained systolic lift at the lower left parasternal area, which starts in early systole and is synchronous with the left ventricular apical impulse.